Locard's exchange principle is for
1. Detecting poisoning
2. Estimating the age
3. Finding out time since death
4. Detecting crime

Correct answer: 4. Detecting crime

Explanation: Locards principal of exchange states that whenever two bodies come in contact with each other, there is exchange of material between the two and so a criminal can be linked to crime.